Recommended brushing technique in patients with healing wounds after surgery is:
1. Modified Stillman.
2. Charter
3. Bass
4. Fones.

Correct answer: 2. Charter